Familial tendency is not seen in
1. Sarcomas
2. Stomach carcinoma
3. Colon carcinoma
4. Laryngeal carcinoma

Correct answer: 4. Laryngeal carcinoma